Intrinsic factor is secreted by-
1. Chief cells
2. Parietal cells
3. Enterochromaffin cells
4. B-cells

Correct answer: 2. Parietal cells

Explanation: Ans. is 'b' i.e., Parietal cells In stomach* Parietal cells (oxyntic cells) secrete - HC1 and intrinsic factor of castle.* Chief cells (zymogen or peptic cells) secrete - Pepsinogen.* G cells secrete - Gastrin* D cells secrete - Somatostatin* ECL cells secrete - Histamine